Young's operation is done for:
1. Atrophic rhinitis
2. Vasomotor rhinitis
3. Antrachonal polyp
4. Allergic rhinitis

Correct answer: 1. Atrophic rhinitis

Explanation: Atrophic rhinitis (OZAENA) - it is a chronic inflammation of the nose characterized by atrophy of nasal mucosa and turbinate bones Nasal cavities are roomy and full of foul smelling crusts. Young's operation - both the nostrils are closed completely just within the nasal vestibule by raising flaps they are opened after 6 months or later in these cases mucosa may revert to normal and crusting reduced. Modified young's operation- to avoid the discomfort of bilateral nasal obstruction modified young's operation aims to partially close the nostrils. It is also claimed to give the same benefit as young's.